A female presents with placenta previa with active bleeding and blood pressure of 80/50 MM Hg and pulse rate of 140 bpm. The choice of anesthesia for emergency cesarean section of this female is
1. General anesthesia with intravenous propofol
2. General anesthesia with intravenous Ketamine
3. Spinal anesthesia
4. Epidural anesthesia

Correct answer: 2. General anesthesia with intravenous Ketamine

Explanation: Refer Williams Obstetrics 24th/e p 518 The patient is presenting with shock, so spinal anesthesia can't be used Among the general anesthetics, Ketamine is drug of choice for induction in patients with low blood pressure